Magnan syndrome is seen in which poisoning-
1. Morphine
2. Alcohol
3. Cannabis
4. Cocaine

Correct answer: 4. Cocaine

Explanation: Ans. is 'd' i.e., Cocaine